Charcot's/neuropathic joint are most commonly seen in
1. Diabetes Mellitus
2. Spyringomyelia
3. Leprosy
4. Rheumatic Arthritis

Correct answer: 1. Diabetes Mellitus